Ophthalmic artery is a branch of:
1. Maxillary artery
2. Sphenopalatine artery
3. ICA
4. ECA

Correct answer: 3. ICA